After withdrawal of DMPA, most of the women conceive within :
1. Immediately
2. After 2-4 weeks
3. 1 year
4. After 6 months

Correct answer: 3. 1 year

Explanation: There is a delay in return of fertility but 80% are expected to conceive by end of 1 year. With DMPA, ovulation returns in 5 months, and with NETO, within 3 months of the last injection. Reference: Shaw's textbook of Gynaecology,16th edition page no: 276